All is true about flumazenil except:
1. Antagonist of benzodiazepines
2. Treat barbiturate poisoning
3. Given intravenously
4. Act GABA channel

Correct answer: 2. Treat barbiturate poisoning

Explanation: Ans. B. Treat barbiturate poisoningFlumazenil is the competitive antagonist of benzodiazepines receptor. It acts as specific antidote of benzodiazepines poisoning. It is given intravenously and it inhibits GABA facilitatory action.